Kissing disease is representative of
1. Candidiasis.
2. Cytomegalovirus infection.
3. Histoplasmosis.
4. Infectious mononucleosis.

Correct answer: 4. Infectious mononucleosis.